Autonomic supply to S.A node is -
1. Parasympathetic excitatory
2. Sympathetic excitatory
3. Both excitatory
4. Both inhibitory

Correct answer: 2. Sympathetic excitatory

Explanation: Sympathetic supply to heart excites the cardiac activity to increase the heart rate and contractility.